Automatism is seen in
1. Partial seizures
2. complex partial seizures
3. Infantile spasms
4. Absence seizures

Correct answer: 2. complex partial seizures

Explanation: A complex partial seizure is a type of seizure that arises in one lobe of the brain, rather than the whole brain. The seizure affects people's awareness and may cause them to lose consciousness . A complex partial seizure starts focally within the brain and causes impairment of consciousness. This definition is based on both clinical and electroencephalographic (EEG) data. A complex partial seizure is most commonly a manifestation of temporal lobe epilepsy, but the term is so broadly defined (le, as any focal seizure with Impairment of consciousness) that it is very nonspecific. For this reason, many clinicians make a point of distinguishing between temporal and extratemporal complex partial seizures. Complex partial seizures are partial seizures that are associated with an alteration of consciousness ( Complex-Partial Seizures with Automatisms). The term psychomotor describes a particular semiology characterized by automatisms and impairment of consciousness, usually of temporal lobe origin. Automatisms: Automatisms are nonpurposeful, stereotyped, and repetitive behaviors that commonly accompany complex partial seizures (In the sem lologic classification, they define automotor seizures). The behavior Is Inappropriate for the situation. Verbal automatisms range from simple vocalizations, such as moaning, to more complex, comprehensible, stereotyped speech. The most common automatisms, at least In temporal lobe epilepsy, are oral (eg, lip smacking, chewing, swallowing) and manual (eg, picking. fumbling, patting). Unilateral manual automatisms accompanied by contralateral arm dystonia usually Indicates seizure onset from the cerebral hemisphere !psilateral to the manual automatisms. Automatisms can also be more elaborate, coordinated movements Involving bilateral extremities. Bizarre automatisms, such as alternating limb movements, right-to-left head rolling, or sexual automatisms, may occur with frontal lobe seizures. Reference: GHAI Essential pediatrics, 8th edition